Damage to which of the following nerves leads to sensory loss on adjacent sides of the great and second toes and impaired dorsiflexion of the foot?
1. Superficial peroneal
2. Lateral plantar
3. Deep peroneal
4. Sural

Correct answer: 3. Deep peroneal

Explanation: DEEP PERONEAL NERVE Arises from the common peroneal (fibular) nerve in the substance of the peroneus longus on the lateral side of the neck of the fibula (where it is vulnerable to injury but less vulnerable than the common peroneal nerve). Enters the anterior compartment by passing through the extensor digitorum longus muscle. Descends on the interosseous membrane between the extensor digitorum longus andthe tibialis anterior and then between the extensor digitorum longus and the extensorhallucis longus muscles. Muscles supplied are: Tibialis anterior , Extensor hallucis longus, Extensor digitorum longus, Peroneus (fibularis) tertius It then divides into a lateral branch, which supplies the extensor hallucis brevis and extensor digitorum brevis, and a medial branch, which accompanies the dorsalis pedis artery to supply the skin on the adjacent sides of the first and second toes.